Shingles caused by infection with:
1. Varicella zoster virus
2. Herpes simplex virus
3. Human papilloma virus
4. Epstein-Barr virus

Correct answer: 1. Varicella zoster virus

Explanation: Ref. Robbins Pathology. 9th edition. Page. 358